Musculocutaneous nerve is injured at the lateral cord of brachial plexus, positive clinical findings would be:
1. Loss of flexion at shoulder
2. Sensory loss on the radial side of the forearm
3. Loss of extension of forearm
4. Loss of extension of the wrist

Correct answer: 2. Sensory loss on the radial side of the forearm

Explanation: B i.e. Sensory loss on the radial side of forearm